Which of the following statements is true regarding ARBO Viruses:?
1. Yellow fever is endemic in India
2. Dengue Virus has only one serotype
3. Kyasanur Forest disease is transmitted by ticks
4. Mosquito of culexvishnoi-complex is the vector of Dengue fever

Correct answer: 3. Kyasanur Forest disease is transmitted by ticks

Explanation: Ans. C. Kyasanur Forest disease is transmitted by ticksArboviruses: Arthopod borne viruses of vertebratesa. Multiply in blood-sucking insects.b. Transmit by bite (m/c mode) to vertebrate host, multiplies in RES & then produces viremiac. Syndromes:d. Fever with or without rash & arthralgia e.g. dengue, chikungunya, Colorado tick fever)e. Hemorrhagic fever (affect capillary endothelium) e.g. dengue, chikungunya, KFD, CCHF)f. Encephalitis (affect CNS) e.g. JE, West Nile, EEg. Yellow fever (affect liver)h. List of Arboviruses of medical importanceMosquito-borne disease* Chikungunya* Dengue fever* Ross River virus* West Nile virus* Yellow fever* Japanese Encephalitis* La Crosse Encephalitis* Murray Valley encephalitis virus* Rift Valley fever* St. Louis Encephalitis* Equine Encephalitis* Epizootic Hemorrhagic Disease (EHD) of deer* O'nyong 'nyong virusTick-borne disease* CCHF virus* Tick-borne Encephalitis* KFD* Louping ill virus* African swine feverPhlebotomine-borne disease* Phlebovirus* Alenquer virus* Candiru virus* Chagres virus* Naples virus* Punta Toro virus* Rift Valley fever* Sicilian virus* Toscana virus